Features of fracture neck of femur includes
1. Flexion at hip and lateral rotation
2. Flexion at hip abduction
3. Shortening and lateral rotation
4. Shortening and flexion

Correct answer: 3. Shortening and lateral rotation

Explanation: C i.e. Shortening & Lateral rotation Fracture neck femur and inter trochanteric femur present with - lateral rotation and shoingQ. The only difference is in the amount i.e. * Less lateral rotation deformity in fracture neck femur is due to attachment of capsule to the distal fracture fragment which prevents excessive rotation in acute cases. But gradually the deformity increases d/t stretching of hip joint capsule by the weight of limb.